The cresecent forming glomerulonephritis is ?
1. RPGN
2. Acute GN
3. Membranous GN
4. Membrano proliferative GN

Correct answer: 1. RPGN

Explanation: Ans. is 'a' i.e., RPGNo Regardless of the cause, the classical histological picture of RPGN is characterized by the presence of crescents in most of the glomeruli.o So, RPGN is also known as crescentic glomerulonephritis.